Posterior mandible resorbs at a rate approximately
times faster than the anterior mandible
1. 2 times
2. 4 times
3. 6 times
4. 8 times

Correct answer: 2. 4 times